Gastro-intestinal enteritis necroticans caused by:
1. CI difficile
2. CI. perfringens
3. Botulinum
4. C jejuni

Correct answer: 2. CI. perfringens

Explanation: “Necrotizing enteritis (enteritis necroticians, or pig bel) is caused by β toxin produced by type C strains of C.perfringens following ingestion of a high protein meal in conjunction with trypsin inhibitors by a susceptible host who has limited intestinal proteolytic activity”. Source of organism is patient own intestinal flora.
Clinical features

Acute abdominal pain, diarrhea, vomiting, shock and peritonitis, 40% of patient die.
Pathological studies shows an acute ulcerative process of the bowel restricted to small intestine.